Predominant bacteria found in two days old plaque
1. Streptococci
2. Bacteroides
3. Spirocheates
4. Actinomyces

Correct answer: 1. Streptococci